Areas of carcinoma of oral mucosa can be identified by staining with -
1. 1 % zinc chloride
2. 2 % silver nitrate
3. Gentian violet
4. 2 % toluidine blue

Correct answer: 4. 2 % toluidine blue

Explanation: Helps to delineate the extent.